A child with respiratory tract infection presents with gross hematuria within 2 days of the infection. The probable diagnosis is -
1. Post Streptococcal Glomerulonephritis
2. IgA Nephropathy
3. Nephrotic Syndrome
4. Urinary tract infection (Hematogenous)

Correct answer: 2. IgA Nephropathy

Explanation: Ans. is 'b' i.e., IgA Nephropathy o This patient has developed hematuria (cola coloured urine) 2 days after an upper respiratory tract infection (there is history of rash and most of the URTIs have rash in their clinical course e.g. measles, chicken pox etc.)o Hematuria after URTI:i) After 2 days - IgA nephropathyii) After 10 days - 2 weeks - HSP, PSGN.IgA nephropathy (Berger's disease)o It is the most common type of glomerulonephritis world wideo Children and young adults are commonly affected.o It occurs after an upper respiratory tract infection or gastrointestinal infection.Clinical presentationo Gross hematuria within 1-2 days after on upper respiratory tract infection. This feature distinguish it from PSGN. In PSGN hematuria occurs 7-21 days after respiratory infection,o Can also present with nephritic or nephrotic syndromeo Mild to moderate hypertension.Pathologyo Focal and segmental mesangial proliferationo IgA deposition in mesangium.o Serum complement level is normal. This feature also differentiates it from PSGN. In PSGN complement (C3) level is decreased.